Antagonist of benzodiazepine is :
1. Naltrexone
2. Flumazenil
3. Naloxone
4. N–Acetyl–cysteine

Correct answer: 2. Flumazenil